Gaisbock syndrome is known as
1. Primary Familial Polycythemia
2. High Altitude Erythrocytosis
3. Spurious Polycythemia
4. Polycythemia Vera

Correct answer: 3. Spurious Polycythemia

Explanation: Answer is C (Spurious Polycythemia) Gaisbock syndrome refers to Spurious Polycythemia or Relative Erythrocytosis due to decreased plasma volume.